In postductal coarctation of aorta, vessels involved in the formation of collateral are all of the following, EXCEPT:
1. Intercostal artery
2. Internal thoracic artery
3. Superior epigastric artery
4. Vertebral artery

Correct answer: 4. Vertebral artery

Explanation: In postductal coarctation of aorta patients will survive due to the establishment of circulation between the following vessels: 1. Anterior intercostal artery which are branches of internal thoracic branch of subclavian artery and posterior intercostal artery which are branches of descending thoracic aorta. As a result intercostal arteries get dilated and erode the ribs which would be evident on the X Ray as notching of ribs. 2. Anastomosis between superior and inferior epigastric artery. Ref: Anatomy, Combined Edition By S. Mitra, page 7-26.